All of the following drugs are used for the management of postpartum haemorrhage, except:
1. Misoprostol
2. Oxytocin
3. Prostaglandin
4. Mifepristone (RU-486)

Correct answer: 4. Mifepristone (RU-486)

Explanation: Drugs used for the management of PPH: 1. Oxytocin- DOC for prevention as well as treatment of PPH 2.Methyl Ergometrine 3. Misoprostal 4. Carboprost 5. Recombinant VII 6. Fibrinogen DRUG DOSE ROUTE Oxytocin(DOC) 10-20 units drip I.V. Methyl ergometrine 0.2 mg I.V.(Preferred),I.M. Misoprostal(PGE1) 1000 ug Per rectum Carboprost(PGF2[?]) 250 ug I.M. only Recombinant VII 90ug/kg I.V. Infusion